Which of the following is not a congenital anomaly?
1. Amastia
2. Polymastia
3. Polythelia
4. Mastitis

Correct answer: 4. Mastitis

Explanation: Mastitis is an inflammation of breast tissue that sometimes involves an infection. The inflammation results in breast pain, swelling, warmth and redness. You might also have fever and chills. Mastitis most commonly affects women who are breast-feeding (lactation mastitis) . Ref - medscape.com